When assessing a patient’s needs for psychologic support after the patient has been diagnosed with stage I cancer of the colon, which question by the nurse will provide the most information?
1. “Can you tell me what has been helpful to you in the past when coping with stressful events?”
2. “How long ago were you diagnosed with this cancer?”
3. “Are you familiar with the stages of emotional adjustment to a diagnosis like cancer of the colon?”
4. “How do you feel about having a possibly terminal illness?”

Correct answer: 1. “Can you tell me what has been helpful to you in the past when coping with stressful events?”

Explanation: Information about how the patient has coped with past stressful situations helps the nurse determine usual coping mechanisms and their effectiveness. The length of time since the diagnosis will not provide much information about the patient’s need for support. 
The patient’s knowledge of typical stages in adjustment to a critical diagnosis does not provide insight into patient needs for assistance. The patient with stage I cancer is not considered to have a terminal illness at this time, and this question is likely to worry the patient unnecessarily